Earlier closure of a suture is called
1. Synchondrosis
2. Ankylosis
3. Synostosis
4. Epiphysis

Correct answer: 3. Synostosis